Anakinra is a -
1. IL - 1 antagonist
2. IL - 2 antagonist
3. IL - 6 antagonist
4. IL - 10 antagonist

Correct answer: 1. IL - 1 antagonist

Explanation: Ans. is 'a' i.e., IL-1 antagonisto Anakinra is an IL-1 antagonist.o It is used for some rare syndromes dependent on IL-1 production :Neonatal - onset inflammatory diseaseMuckle - Wells syndromeFamilial cold urticariaSystemic juvenile - onset inflammatory arthritisRA